Schizophrenia with worst prognosis
1. Catatonic
2. Paranoid
3. Hebephrenic
4. Undifferentiated

Correct answer: 3. Hebephrenic

Explanation: Order of prognosis from good to bad, catatonic->paranoid->undifferentiated->hebephrenic->simple